Abnormal a-fetoprotein is seen in
1. Trisomy 18
2. Twin pregnancy
3. Neural tube defect
4. All of the above

Correct answer: 4. All of the above

Explanation: Answer is D (All of the above) All conditions mentioned in options are associated with abnormal Alpha fetoprotein levels. Open Neural tube defects and multiple gestations (twin pregnancy) are associated with elevated alpha protein levels Chromosomal trisomies (trisomy 18) show decreased alphaprotein levels.